Not a dietary source of vit. B12-
1. Fish
2. Meat
3. Soya bean
4. Liver

Correct answer: 3. Soya bean

Explanation: Ans. is 'c' ie. Soyabean Vit B12 is present in foods of animal origin and is not present in foods of vegetable sources.